The site of occurrence of Subependymal Giant Cell Astrocytoma is
1. Cerebellum
2. Pineal gland
3. Foramen of monro
4. Medulla Oblongata

Correct answer: 3. Foramen of monro

Explanation: Subependymal Giant Cell Astrocytoma occurs in foramen of monro.